The region where internal and external epithelia meet at the rim of the enamel organ is known as:
1. Zone of reflexion.
2. Enamel Knot.
3. Dental follicle.
4. Enamel cord.

Correct answer: 1. Zone of reflexion.

Explanation: The region where the internal and external dental epithelia meet at the rim of the enamel organ is known as the zone of reflexion or cervical loop.